A hirsuite lady with PCOD treatment is:
1. Ethinyl estradiol + Levonorgestrel
2. Ethinyl estradiol + Desogestrel
3. Levonorgestrel
4. None

Correct answer: 2. Ethinyl estradiol + Desogestrel

Explanation: Ans. is b, i.e. Ethinyl estradiol + DesogestrelRef: Novak 14th/ed, p 1083, 15th/ed, p 1086 KDT Pharma 6th/ed, p 307OCPs decrease adrenal and ovarian androgen production and reduce hair growth in nearly two thirds of hirsute patients. When an OCP is used to treat hirsutism, a balance must be maintained between the decrease in free testosterone levels and the intrinsic androgenicity of the progestin.Progesterones with:High androgenic bioactivityNewer progestins with low androgenic bioactivity* Norgestrel* Desogestrel i.e. class III* Norethindrone* Gestodene* Norethindrone acetate* Norgestimate* Drospirenone Thus, newer progestins with minimal androgenic activity are preferred for management of hirsutism in a patient of PCOD/PCOS (i.e. option b is correct).